Which of the following are used for calculation of fluid replacement in burns
1. Parkland regime
2. Muir and Burclay regime
3. Evan's formula
4. All the above

Correct answer: 4. All the above

Explanation: Parkland regime : It is commonly used . 4ml/%burn/kg body weight / 24 hours . Maximum percentage considered is 50%. volume is given in first year hours, rest given in 16 hours. Muir and Burclay regime : For colloid after 12-24 hours %burns x kg body weight /2 = 1 ration Three rations given in 12 hours . Two rations in second 12 hours . One ration in third 12 hours . Evan's formula : In first 24 hours : Normal saline 1ml/kg/%burns Colloids 1ml/kg/%burns 5% dextrose in water , 2000 ml in adult . In second 24 hours : Half of the volume used in first 24 hours . Ref - Srb's manual of surgery 5/e p133